Eclampsia is a complication of
1. Anaemia complicating Pregnancy
2. Diabetes complicating Pregnancy
3. Hypertensive complicating Pregnancy
4. Cardiac disease complicating Pregnancy

Correct answer: 3. Hypertensive complicating Pregnancy

Explanation: Eclampsia is an extremely severe form of Preeclampsia characterized by the sudden onset of generalized tonic-clonic seizures.Reference: Practical guide to High-risk pregnancy and delivery; Chapter 16; Hypertensive disorders of Pregnancy